All of the following muscles are paralyzed in trauma to median nerve at the wrist except -
1. Adductor pollicis
2. Abductor pollicis
3. First two lumbicals
4. Muscles of the Thenar eminence

Correct answer: 1. Adductor pollicis

Explanation: Adductor pollicis is the only thenar muscles, which is supplied by ulnar nerve.